which of these is a Fda approved indication for use of modafinil as an adjunct?
1. Major depression
2. Narcolepsy
3. obstructive sleep apnea
4. shift work disorder

Correct answer: 3. obstructive sleep apnea

Explanation: FDA has approved modafinil as an adjunctive treatment for obstructive sleep apnea. Remember, Continuous positive airway pressure (CPAP) is the treatment of choice for this disorder.
Modafinil is approved only as adjunctive treatment.